Transfusion reactions are due to which type of hypersensitivity?
1. Immediate
2. Immune complex-mediated
3. Antibody-mediated
4. Delayed-type

Correct answer: 3. Antibody-mediated

Explanation: Type II: HypersensitivityType II hypersensitivity involves the binding of IgG antibodies to cell surface antigens or extracellular matrix molecules.Antibody-directed at cell surface antigens can activate complement to damage the cells. The result may be complement mediated lysis, which occurs in hemolytic anemia, ABO transfusion reactions, and Rh hemolytic diseaseRef: Jawetz; 27th edition; Page no: 145